The temporal field of vision is
1. 50
2. 75
3. 85
4. 90

Correct answer: 4. 90

Explanation: A normal visual field is an island of vision measuring 90 degrees temporally to central Fixation, 50 degrees superiorly and nasally, and 60 degrees inferiorly. Visual acuity increases from movement discrimination in the extreme peripheral vision to better than 20/20 in the center of vision. Reference: AK khurana 7th edi